True about renal secretion----
1. Maximum reabsorption in distal tubule
2. Urea is absorbed 100%
3. Glucose is reabsorbed in proximal tubule
4. None

Correct answer: 3. Glucose is reabsorbed in proximal tubule

Explanation: Ans. is 'c' i.e., Glucose is reabsorbed in proximal tubule